Garlicky odour in the gastric contents seen in which non metallic poisoning
1. Sulphur
2. Phosphorus
3. Iodine
4. Chlorine

Correct answer: 2. Phosphorus

Explanation: Postmortem appearance Esophagus and stomach shows inflammatory changes and luminous material may be seen in the GIT. There may be garlicky odour in the gastric contents. There may be jaundice, and fatty change in the liver. Liver shows centrilobular steatosis and neurosis. If the person survived for one week or so, there may be yellow atrophy of liver and cloudy swellings of kidney. Ref: FORENSIC MEDICINE AND TOXICOLOGY Dr PC IGNATIUS THIRD EDITION PAGE 432